Scarring alopecia is seen in -
1. T.Capitis
2. Androgenic alopecia
3. Alopecia areata
4. Lichen planus

Correct answer: 4. Lichen planus

Explanation: Causes of cicatricial alopecia: -Discoid lupus erythematosus and morphea - developmental /hereditary : aplasia cutis -traumatic, post radiation -herpes zoster and bacterial infections -lichen planopilaris - neoplastic disorders Ref Harrison20th edition pg 1234